If the axial length of the eyeball is changed by limn then the power changes by:
1. 1 dioptre
2. 2 D
3. 3 D
4. 4 D

Correct answer: 3. 3 D

Explanation: C i.e. 3 Dioptres A decrease in 1 mm in curvature of cornea leads to hypermetropia of 6D while 1 mm decrease in length leads to hypermetropia of 3D.Q